Shortest incubation period in malaria -
1. P. vivax
2. P. falciparum
3. P. malariae
4. P. ovale

Correct answer: 2. P. falciparum